Cause for pneumatoceles
1. Staph.aureus
2. P.carini
3. H.influenzae
4. All of the above

Correct answer: 4. All of the above

Explanation: Pneumatoceles an thin - walled, gas - filled cystic lung spaces.
Causes :
S.aureus (infants & children).
P.carini (AIDS).
H.influenzae & E - coli (Neonate).